A 2-year-old child is brought by parents with history of seizures and developmental delay. He has multiple hypopigmented macules over the back. What is the most probable diagnosis:
1. Neurofibromatosis type I
2. Tuberous sclerosis
3. Sturge Weber syndrome
4. Linear sebacous nevus syndrome

Correct answer: 2. Tuberous sclerosis

Explanation: b. Tuberous sclerosis(Ref: Nelson's 20/e p 2877-2878, Ghai p 586)History of seizures and developmental delay along with multiple hypopigmented macules over the back suggests Tuberous sclerosis.